In a section of lung tissue consisting dominantly of alveoli, a tubule about 2mm in diameter is observed that contains smooth muscle and cartilage in its wall. The tubule is which one of the following?
1. Alveolar duct
2. Alveolar sac
3. Bronchiole
4. Bronchus

Correct answer: 4. Bronchus

Explanation: Any tubule with cartilage in its wall and contained in the parenchyma of the lung is a bronchus. Alveolar ducts, alveolar sacs, and bronchioles do not contain cartilage. The trachea lies outside of the lung.